Rules followed amongst medical professionals which are mutual ?
1. Medical etiquettes
2. Medical ethics
3. Privileged communication
4. Vicarious responsibility'

Correct answer: 1. Medical etiquettes

Explanation: Ans. is 'a' i.e.,Medical etiquettes Medical etiquettesMedical etiquettes : It refers to existing customs of brotherhood among members of medical profession, i.e. courtesy followed between members of medical profession, e.g. it is a custom not to charge another doctor or his close relatives. Medical ethicsThe earliest code of medical ethics was Hippocratic oath. It is modified by World Medical Association, and was named as `Declaration of Geneva'; it is followed by MCI as code of medical ethics.